Antitubercular drug causing ophthalmic toxicity is:
1. Isoniazid
2. Rifampicin
3. Ethambutol
4. None of above

Correct answer: 3. Ethambutol

Explanation: Ans, C EthambutolOptic neuritis due to ethambutol:* Reversible* Loss of red green color discrimination* Central scotomasExtra Edge points:Rifabutin and Rifampin can also orange tan discoloration of tears and contact lenses.